It can be stated that the superior haemorrhoidal veins —a) Drain into the inferior mesentric veinb) Have no valvec) Leave the anal canal at the pactinate lined) Cause external haemorrhoids
1. ac
2. a
3. ab
4. bc

Correct answer: 3. ab